A sexually active female presented with complains of a milky, homogenous, malodorous ("fishy" odour), non irritating discharge. 'Clue cells' are seen microscopically from the vaginal discharge. Clue cells are seen in:
1. Bacterial vaginosis
2. Candidiasis
3. Trichomoniasis
4. Gonorrhoea

Correct answer: 1. Bacterial vaginosis

Explanation: Presence of clue cells (>20% of epithelial cells) on microscopy is one of the diagnostic criteria of bacterial vaginosis. Clue cells are identified as numerous stippled or granulated epithelial cells. This appearance is caused by the adherence of G vaginalis organisms to the edges of the vaginal epithelial cells. Ref: Bornstein J. (2013). Chapter 39. Benign Disorders of the Vulva & Vagina. In A.H. DeCherney, L. Nathan, N. Laufer, A.S. Roman (Eds), CURRENT Diagnosis & Treatment: Obstetrics & Gynecology, 11e.